All of the following statements are true about Benedikt's syndrome, except?
1. Contralateral tremor
2. 3rd Nerve palsy
3. Involvement of the penetrating branch of the basilar artery
4. Lesion at the level of pons

Correct answer: 4. Lesion at the level of pons